MHC class I represented on -
1. All cells
2. All nucleated cells
3. RBCs
4. None

Correct answer: 2. All nucleated cells

Explanation: Ans. is 'b' i.e., All nucleated cells o MHC class I is found on the surface of all nucleated cells and platelets.